Good prognosis in schizophrenia is indicated by -
1. Soft neurological signs
2. Affective symptoms
3. Emotional blunting
4. Insidious onset

Correct answer: 2. Affective symptoms

Explanation: Ans. is 'b' i.e., Affective symptoms o Presence of depression (affective symptom) is a good prognostic factor.PROGNOSTIC FACTORS FOR SCHIZOPHRENIAGood Prognostic FactorsPoor Prognostic Factorsl. Acute or abrupt onset1. Insidious onset2. Onset > 35 years of age (late onset)2. Onset < 20 years of age (early onset )3. Presence of precipitating stressor3. Absence of stressor4. Good premorbid adjustment4. Poor premorbid adjustment5. Catatonic subtype (Paranoid subtype has an intermediate prognosis)5. Disorganized, simple, undifferentiated, or chronic catatonic subtypes6. Short duration (< 6 months)6. Chronic course (> 2 years)7. Presence of depression7. Absence of depression8. Predominance of positive symptoms8. Predominance of negative symptoms9. Family history of mood disorder9. Family history of schizophrenia10. First episode10. Past history of schizophrenia11. Pyknic (fat) physique11. Asthenic (thin) physique12. Female sex12. Male sex13. Married13. Single, divorcedGood social supportPoor social supportPresence of confusion, perplexity, or disorientation in the acute phaseFlat or blunted affect16. Proper treatment, good treatment compliance, and good response to treatment16. Absence of proper treatment or poor response to treatment17. Outpatient treatment17. Institutionalization (long term hospitalization)18. Normal cranial CT scan18. Evidence of ventricular enlargement on cranial CT scan